Myenteric plexus in GIT controls-
1. GI secretions
2. Local blood flow
3. GI motility
4. All of the above

Correct answer: 3. GI motility

Explanation: Ans. is 'c' i.e., GI motility * The enteric nervous system is composed mainly of two plexus : -i) Myenteric plexus or Auerbach's plexus :# It is an outer plexus lying between the longitudinal and circular muscle layer.# The myenteric plexus controls mainly gastrointestinal motility therefore, perisalsis requires an active myenteric plexus.ii) Meissner's plexus or submucosal plexus :# It is an inner plexus that lies in the submucosa.# The submucosal plexus controls mainly gastrointestinal secretion and local blood flow.